Which of the following rhythm associated with cardiac arrest is shockable
1. Asystole
2. Pulseless activity
3. Ventricular fibrillation
4. All of the above

Correct answer: 3. Ventricular fibrillation

Explanation: Answer-C. Ventricular fibrillation Ventricular fibrillation (VF)-most commonPulseless ventricular tachycardia (VT)AsystolePulseless electrical activify (PEA)Shockable RhythmsVentricular fibrillation:disorganised electric activity of the ventricular myocardium which fails to generate significant forward blood flow.Pulseless ventricluar tachycardia: organised electric activity of the ventricular myocardium which fails to generate significant forward blood flow.